All are features of ileocecal tuberculosis except?
1. Pulled Up Cecum
2. Fleischner Sign
3. Goose Neck Deformity
4. Wind-Sock Appearance of duodenum

Correct answer: 4. Wind-Sock Appearance of duodenum

Explanation: * Wind Sock Appearance of Duodenum is seen with intraluminal diverticulum of duodenum. Goose neck deformity occurs due to contracted, cicatrized, and pulled-up cecum as well as straightening of the terminal ileum seen in ileocecal tb . The 'Fleischner sign'(also known as the 'inverted umbrella sign'), refers to a widely gaping, thickened, patulous ileocaecal valve and a narrowed, ulcerated terminal ileum associated with tuberculous involvement of the ileocaecum.